A 30 year old female begins to experience frequent episodes of nausea, unusual rotting fish odor. Her husband notices that afterward she may develop twitching of the left side of his face and an inability to speak for several minutes. After this she is confused and unable to remember what has occurred. She is otherwise normal. MRI of her brain is most likely to show a lesion in which area of the brain?
1. Right frontal lobe
2. Uncus
3. Left parietal lobe
4. Left frontal lobe

Correct answer: 2. Uncus

Explanation: The features described are typical of complex partial seizure.the patient’s aura includes olfactory hallucination, which is usually associated with lesion of mesial temporal lobe (uncus and parahippocampal gyrus)